Which of following does not lie on the mandible:
1. Pogonion
2. Porion
3. Menton
4. Gnathion

Correct answer: 2. Porion